Average duration of treatment in multibacillary leprosy is
1. 1 year
2. 2 years
3. 3 years
4. Life long

Correct answer: 1. 1 year

Explanation: Duration of treatment for multibacillary leprosy is 12months which include 12 monthly pulses of rifampicin , clofazamine and dapsone. 12 pulses should be completed in 18 months. iadvl textbook of dermatology page 2084